Post - coital contraceptive methods include all of the following except :
1. RU - 486
2. Danzol
3. Copper - T insertion
4. Nonoxynol

Correct answer: 4. Nonoxynol

Explanation: Nonoxynol